At CEJ Overlap joint is seen in:
1. 30%
2. 40%
3. 50%
4. 60%

Correct answer: 4. 60%